Bed strength at CHC:
1. 6-Apr
2. 10
3. 30
4. 50

Correct answer: 3. 30

Explanation: Community Health Centre (CHC)

Secondary level of health care.
Located for population of 1,20,000 in plains.
Located for population of 80,000 in hilly areas.
Staff at CHC : 46-52
Acts as referral unit for 4 PHCS.
Bed strength : 30